Which of the following drug reduces blood pressure by directly decreasing the heart rate:
1. Propanolol
2. Prazosin
3. Alpha methyl dopa
4. Nitroprusside sodium

Correct answer: 1. Propanolol

Explanation: Propranolol is a non-selective beta blocker. It has a negative chronotropic effect (decreases heart rate) It decreases heart rate by blocking the beta1 receptors located on the heart. It also decreases renin production from JG cells of kidney decreasing BP (Ref- Essentials of medical pharmacology K D TRIPATHI 8th Edition)